In a new born, what is the normal respiratory rate ?
1. 10-20 breaths/minute
2. 30-40 breaths/minutes
3. 40-60 breaths/minute
4. 60-80 breaths/minute

Correct answer: 3. 40-60 breaths/minute

Explanation: Newborn vitals: Respiratory rate:40-60 breaths/minute. Heart rate is faster in newborns compared to term babies. The normal range is 110-160 beats/ min.Bradycardia(<100/min) may be associated with heart disease whike tachycardia(> 160/min) may be due to sepsis, anemia, fever or congestive cardiac failure. Capillary refill time assessed by applying firm pressure over sternum . Normal value is 2-3 seconds. Reference: GHAI. Essential paediatrics , 8 th edition